Function of Kupffer cells in liver is
1. Phagocytic
2. Lytic
3. Secretory
4. Excretory

Correct answer: 1. Phagocytic

Explanation: Kupffer cells (KC) constitute 80-90% of the tissue macrophages present in the body. They reside within the lumen of the liver sinusoids and are therefore constantly exposed to gut-derived bacteria, microbial debris, and bacterial endotoxins, known to activate macrophages & has got phagocytic action. Ref: Medical Physiology, Indu Khurana